Commonest cause of loss of vision in non-proliferative diabetic retinopathy is:
1. Vitreous haemorrhage
2. Macular edema
3. Detachment of retina
4. Subretinal haemorrhage

Correct answer: 2. Macular edema

Explanation: Ans. Macular edema